Investigation of choice for audiometric evaluation of an infant is?
1. Pure Tone Audiometry
2. High frequency Audiometry
3. Tympanometry
4. BERA

Correct answer: 4. BERA

Explanation: BERA is the investigation of choice in assessing hearing loss in neonate BERA wavesWavesSite of generationIDistal part of cranial nerve VIIIIIProximal part of cranial nerve VIIIIIICochlear nucleus IVSuperior olivary complexVLateral lemniscusVI, VIIInferior colliculus (Refer: PL Dhingra, Textbook of Ear, Nose, Throat, 6thedition,pg no: 26, 27)